Fumarase is a:
1. Oxidoreductase
2. Transferase
3. Oxiase
4. Lyases

Correct answer: 4. Lyases